Not a component of Gram stain -
1. Methylene blue
2. Ethanol
3. Iodine
4. Gentian violet

Correct answer: 1. Methylene blue

Explanation: GRAM STAINING 1) Primary staining with a pararosaniline dye such as crystal violet, Methyl violet,or Gentian violet 2) Application of a dilute solution of iodine . 3) Decolourisation with an inorganic solvent such as ethanol,acetone,or aniline . 4) Counterstaining with a dye of contrasting colour such as carbol fuchsin,safranine or neutral red . REF:Ananthanarayan & Panicker's Textbook of Microbiology 8th Edition pg no :15